All of the following agents are used for prophylaxis of migraine, Except:
1. Propanalol
2. Valproate
3. Topiramate
4. Ethosuxamide

Correct answer: 4. Ethosuxamide

Explanation: Ethosuximide is not used in the prophylaxis of migraine. It is used only in the treatment of absence seizures. Betablockers, calcium channel blockers, TCA, valproate and topiramate are used in migraine prophylaxis. Ref: Essentials of Medical Pharmacology By KD Tripathi, 5th Edition, Page 15; Current Management in Child Neurology By Bernard L Maria, Page 70, 71.